Chronic disorder characterised by compulsive use of drugs resulting in physical, psychological and social harm and continued use despite evidence that is harmful is called as
1. Substance intoxication
2. Drug addiction
3. Drug abuse
4. Drug dependence

Correct answer: 2. Drug addiction

Explanation: Addiction is defined as a chronic disorder characterised by compulsive use of drugs (craving) resulting in physical, psychological and social harm, and continued use despite evidence of that harm. Drug habituation is a condition resulting from the repeated consumption of a drug, in which there is psychological or emotional dependency on the drug.Caffeine and nicotine are habit-forming drugs